Human Development Index (HDI) does not consider
1. Life expectancy
2. Literacy
3. Income
4. Infant mortality

Correct answer: 4. Infant mortality

Explanation: .HDI include Life expectancy at birth, education (mean years of schooling, expected years of schooling) and income (Gross national income per capita) Ref : Park 23rd edition Pgno : 17